Ebstein’s anatomy is seen with intake of –
1. Mercury
2. Copper
3. Lithium
4. Lead

Correct answer: 3. Lithium